COX pathway is inhibited by :
1. Aspirin
2. Indomethacin
3. Diclofenac
4. All of these

Correct answer: 4. All of these

Explanation: Aspirin inhibits COX irreversibly by acetylating one of its serine residues; return of COX activity depends on synthesis of fresh enzyme. Other NSAIDS like indomethacin, diclofenac etc are competitive and reversible inhibitors of COX, return of activity depends on their dissociation from the enzyme which in turn is governed by the pharmacokinetic characteristics of the compound. Corticosteroids like betamethasone act by inhibiting phospholipase A2.